Nausea and vomiting that are associated with administration of opioid analgesic is the result of stimulation of the
1. Limbic system
2. Emetic system
3. Chemoreceptor trigger zone (CTZ)
4. Opioid receptors in G.I.T.

Correct answer: 3. Chemoreceptor trigger zone (CTZ)